Expanisle type osseous metastases are characteristic of primary malignancy of:
1. Kidney
2. Bronchus
3. Breast
4. Prostate

Correct answer: 1. Kidney

Explanation: Ans. Kidney